Most common disorder in females when compared to males is
1. Conduct disorder
2. Eating disorder
3. Oppositional defiant
4. Antisocial personality disorder

Correct answer: 2. Eating disorder

Explanation: (B) Eating disorder> Mental health conditions more common in MEN include: Autism, Early onset Schizophrenia, Antisocial personality disorder, and Alcoholism,> Mental health conditions more common in WOMEN include: Depression, Anxiety and specific phobias, Post-traumatic stress syndrome (PTSD), Suicide attempts, Eating disordersEATING DISORDERS COMPARISON CHART Anorexia NervosaBulimia NervosaBinge Eating DisorderWhat it isPeople with the condition restrict calories and do not sustain a healthy body weightPeople with the condition binge, then purgePeople with condition binge but do not purgeHow common is it?9 in 1,000 women and 3 in 1,000 men develop anorexia during their lifetimes15 in 1,000 women and 5 in 1,000 men develop bulimia during their lifetimes35 in 1,000 women and 20 in 1,000 men develop BED in their lifetimesMean (Average (age of Onset)18.9(early, mid, or late adolescence)19.7(Adolescence, young adulthood)25.4(Adulthood)